The best possible intervention for acute myocardial infarction is:
1. Streptokinase
2. Streptokinase and aspirin
3. Early primary coronary intervention
4. Streptokinase and heparin

Correct answer: 3. Early primary coronary intervention

Explanation: Answer is C (Early Primary coronary intervention) Streptokinose (Thrombolysis) is a form of Reperfusion therapy that is indicated for only ST Elevation MI (STEM). Its use is contraindicated in cases of Non ST Elevation MI (NSTEMI) Early Primary Coronary Intervention (Early PCI) can be used as a form of Reperfusion therapy for both STEM! and NSTEMI. Early Primary Caronary Intervention is therefore the single best answer of choice amongst the options provided.